Which of the following is a Good index of the "Severity of a short-term, acute disease"?
1. Cause-specific death rate
2. 5 years survival
3. Case fatality rate
4. Standardized mortality ratio

Correct answer: 3. Case fatality rate

Explanation: Cause specific death rate No. of deaths from a specified cause per 100,000 person years at risk May be adjusted for the age & sex composition, or other characteristic of population 5 - years survival rate % of patients who are alive after treatment begins or 5 years after diagnosis =Index of success in cancer treatment =Yardstick for the assessment of standards of therapy Case fatality rate No. of people who die of a disease divided by no. of people who have disease For short term, acute disease/conditions Standardized mortality ratio observed no. of deaths divided by expected no. of deaths Aka indirect age adjustment